A 20 year old male patient came with the complaint of a decrease in the urinary output to about 400ml/day. Both RBF and GFR were decreased. Which of the following causes a decrease in both RBF and GFR?
1. Dilation of efferent arteriole
2. Dilation of afferent arteriole
3. Only afferent arteriolar constriction
4. Only efferent arteriolar constriction

Correct answer: 3. Only afferent arteriolar constriction

Explanation: Constriction of either the afferent or efferent arteriole increases resistance, and according to Equation Q = DP/R, an increase in resistance (R) decreases flow (Q) (i.e., RBF). Dilation of either the afferent or efferent arteriole increases flow (i.e., RBF). Constriction of the afferent arteriole (A) decreases P GC because less of the arterial pressure is transmitted to the glomerulus, thereby reducing GFR. Dilation of the afferent arteriole increases P GC because more of the arterial pressure is transmitted to the glomerulus, thereby increasing GFR.Reference: Berne and Levy Medical Physiology; 6th edition; Page no: 574